The installation and usage of sanitary latrines by general public constitutes which level of prevention?
1. Health promotion
2. Specific protection
3. Early diagnosis and treatment
4. Disability limitation and rehabilitation

Correct answer: 1. Health promotion

Explanation: - Use of Sanitary latrines will result in general improvement of hygiene & prevention of multiple diseases. - Hence, it constitutes Health promotion which is primary level of prevention.